Which probe is used for Thyroid Ultrasound?
1. Linear
2. Curvilinear
3. Endocavitary
4. Phase array

Correct answer: 1. Linear

Explanation: Linear Probes have Higher frequency,better resolution and lesser penetration and are used for imaging superficial structures like thyroid scans,carotid dopplers,breast and scrotal usg Curvilinear probes have lesser frequency,poorer resolution and greater penetration and mainly used for imaging deeper structures Endocavitary probes are used for Transvaginal Ultrasound and TRUS